Which one of the following is the most suitable situation for prescribing the progestin ony pill :
1. Perimenopusal patients
2. Emergency contraception
3. Lactational mother
4. Diabetic mother

Correct answer: 3. Lactational mother

Explanation: Lactational mother